FALSE about Triage:
1. Red - first priority
2. Black - last priority
3. Yellow - survive if treatment given immediately
4. Green - survive even if treatment given after hours

Correct answer: 3. Yellow - survive if treatment given immediately

Explanation: (C) Yellow - survive if treatment given immediately # TRIAGE is a system used by medical or emergency personnel to ration limited medical resources when the number of injured needing care exceeds the resources available to perform care so as to treat those patients in most need of treatment who are able to benefit first.> Black / Expectant: are so severely injured that they will die of their injuries, possibly in hours or days (large-body burns, severe trauma, lethal radiation dose), or in life-threatening medical crisis that they are unlikely to survive given the care available (cardiac arrest, septic shock, severe head wounds); they should be taken to a holding area and given painkillers to ease their passing.> Red / Immediate: require immediate surgery or other life-saving intervention, first priority for surgical teams or transport to advanced facilities, "cannot wait" but are likely to survive with immediate treatment.> Yellow / Observation: Their condition is stable for the moment but requires watching by trained persons and frequent re-triage, will need hospital care (and would receive immediate priority care under "normal" circumstances).> Green / Wait (walking wounded): will require a doctor's care in several hours or days but not immediately, may wait for a number of hours or be told to go home and come back the next day (broken bones without compound fractures, many soft tissue injuries).> White /Dismiss (walking wounded): have minor injuries; first aid and home care are sufficient, a doctor's care is not required. Injuries are along the lines of cuts and scrapes, or minor burns.